Best space maintainer is:
1. Active space maintainer
2. Passive space maintainer
3. Band and loop
4. Pulpotomised primary tooth

Correct answer: 4. Pulpotomised primary tooth